Following group of drugs which are used for premedication produce a detached serenity without clouding of consciousness are:
1. Analeptics.
2. Antiemetics.
3. Ataraxis.
4. All of the above.

Correct answer: 3. Ataraxis.

Explanation: Ataraxis produces a detached serenity without clouding of consciousness.